Antiserum is available for passive immunization against ?
1. Rabies
2. Typhoid
3. Meales
4. Mumps

Correct answer: 1. Rabies

Explanation: Ans. is 'a' i.e., Rabies For passive immunization A. Antiserum Rabies Tetanus Diphtheria B. Human normal immunoglobulins Rabies Tetanus Hepatitis A Measles Mumps C. Human specific immunoglobulins Diphtheria Hepatitis B Varicella